Treponema pallidum was discovered by ?
1. Robert Koch
2. Twort
3. Schaudinn and Hoffman
4. Ellerman

Correct answer: 3. Schaudinn and Hoffman

Explanation: Ans. is 'c' i.e., Schaudinn and Hoffman Bacteria Discovered by Lepra bacillus (M. Leprae) Hansen (1874) Gonococcus Neisser (1879) Staphylococcus Ogston (1881) Diphtheria bacillus (C. Diphtheria) Loeffler (1884) Tetanus bacillus (C. Tetani) Nicolaier (1884) Pneumococcus Fraenkel (1886) Causative organism for Malta fever (Brucella) Bruce (1887) Spirochete of syphilis (T pallidum) Schaudinn and Hoffmann (1905)